Initial investigation of choice for biliary obstruction
1. CT abdomen
2. ERCP
3. MRCP
4. USG

Correct answer: 4. USG

Explanation: Ultrasonography Initial imaging modality of choice in obstructive jaundice It is operator dependent and may be suboptimal due to excessive body fat and intraluminal bowel gas USG can demonstrate Biliary calculi Size of GB and CBD Thickness of GB wall Presence of inflammation around GB Occasionally, presence of stones within the biliary tree Ref: Sabiston 20th edition Pgno : 1487